The following are related to face presentation except
1. The commonest position is LMA
2. Engaging diameter is submentobregmatic
3. The diameter distending the vulval outlet is mentovertical!
4. During moulding, there is elongation of occipitofrontal diameter

Correct answer: 3. The diameter distending the vulval outlet is mentovertical!

Explanation: The engaging diameter is submentobregmatic (9.4cm).In face presentation,the biparietal diameter is 7cm behind the face unlike in vertex,where it is only 3-4cm distant.The biparietal diameter will pass through the inlet only when the face is low down in the perineum (refer pgno:372 sheila textbook of obstetrics 2 nd edition)